Which of the following is a prodrug of Penciclovir?
1. Valacyclovir
2. Valganciclovir
3. Cidofovir
4. Famciclovir

Correct answer: 4. Famciclovir

Explanation: Famciclovir is the prodrug of penciclovir which is a Guanosine analogue used against herpes.